Instrumentation well short of the apical foramen can result in:
1. Forcing necrotic material into the periapical region
2. Shelling or ledging the canal
3. Traumatizing the periapical tissues
4. Grossly enlarging the apical foramen

Correct answer: 2. Shelling or ledging the canal